Schistocytes are seen in:
1. HUS
2. TTP
3. DIC
4. All of the above

Correct answer: 4. All of the above

Explanation: Ans. (d) All of the aboveRef: Harrison's lTh ed. Ch. 109* Schistocytes are fragmented part of a red blood cells which are typically irregularly shaped, jagged, and have two pointed ends. A true schistocyte does not have central pallor. They are sometimes referred to as "helmet cells"* The presence of schistocytes on the peripheral blood smear suggests red blood cell injury from damaged endothelium and is a characteristic feature of microangiopathic hemolytic anemia.* Microangiopathic hemolytic anemia is an infrequent cause of Coombs-negative intravascular hemolytic anemia, and its causes include:# Thrombotic thrombocytopenic purpura# Hemolytic uremic syndrome# Disseminated intravascular coagulation# Defective valvular prosthesis.